Which of the following is true regarding non-specific interstitial pneumonia?
1. Honeycombing on CT scan
2. More common in male smokers
3. Fibroblastic foci are characteristic
4. Most often associated with connective tissue disease

Correct answer: 4. Most often associated with connective tissue disease

Explanation: Non-specific interstial pneumonia (NSIP) Etiology most often a/w connective tissue disorder can be idiopathic C/F More likely in elderly female (non-smoker) Dyspnea, cough M/E Cellular pattern or Fibrosing pattern No fibroblastic foci No honey combing No granulomas or hyaline membranes B/L reticular opacities on HRCT present Cases with cellular pattern have a better prognosis.